Width of division B bone is about
1. <2.5 mm
2. 2.5-5 mm
3. >5 mm
4. None of the above

Correct answer: 2. 2.5-5 mm